The response which is graded by an observer on an agree or disagree continuum is based on -
1. Visual analog scale
2. Guttman scale
3. Like scale
4. Adjective scale

Correct answer: 3. Like scale